Clinical signs of atropine intoxication are as follows, EXCEPT:
1. Decreased bowel sounds
2. Dry skin
3. Scarlet flushing of face
4. Increased bowel sounds

Correct answer: 4. Increased bowel sounds